SRY gene is located on:
1. Short arm of Y chromosome
2. Long arm of Y chromosome
3. Short arm of X chromosome
4. Long arm of X chromosome

Correct answer: 1. Short arm of Y chromosome

Explanation: Robbins basic pathology 6th edition. Chapter Genetic disorders. page no.174. sry gene- sex determining region Y gene is located on the distal short arm of Y chromosome . so option 1 is right.